Which of the following oils has the highest content of linoleic acid?
1. Sunflower oil
2. Soyabean oil
3. Safflower oil
4. Corn oil

Correct answer: 3. Safflower oil

Explanation: Linoleic and linolenic acid are known as essential fatty acids (EFA) as they cannot be synthesized by the body and must be obtained from dietary sources. EFA lowers the levels of LDL cholesterol and triglycerides in the body and has a protective effect against cardiovascular diseases. It raises levels of protective HDL cholesterol also. TYPE OF OIL LINOLEIC ACID CONTENT(%) Safflower oil 73 Corn oil 57 Sunflower oil 56 Soyabean oil 51 Groundnut oil 39 Mustard oil 15 Coconut oil 2 Ref: Park 21st Edition, Page 564